Cholera toxin is due to -
1. Chromosome
2. Plasmid
3. Phage
4. Transposons

Correct answer: 3. Phage